Early exfoliation of deciduous teeth is seen in
1. Papillon lefevre syndrome
2. Peter-Kelly syndrome
3. Pierre robin syndrome
4. None of the above

Correct answer: 1. Papillon lefevre syndrome